Trigeminal neuralgia (tic doulourex) is characterized by
1. Paralysis of one side of the face
2. Uncontrollable twitching of muscles
3. Sharp, excruciating pain of short duration
4. Prolonged episodes of pain on one side of the face

Correct answer: 3. Sharp, excruciating pain of short duration

Explanation: Trigeminal neuralgia or "Fothergill's disease" is characterized by searing, stabbing or lancinating type of pain that is initiated when the patient touches the "Trigger Zone". The term "tic doulourex" is applied only when the patient suffers from spasmodic contractions of facial muscles.